Treatment of Advanced Proliferative Diabetic Retinopathy with extensive vitreoretinal fibrosis and tractional retinal detachment involves all of the following except
1. Reattachment of detached or torn retina
2. Removal of epiretinal membrane
3. Vitrectomy
4. Exophotocoagulation

Correct answer: 4. Exophotocoagulation

Explanation: Ans. (d) ExophotocoagulationRef: Oxford Textbook of Medicine 4/e, p. 350 current Geriatric Diagnosis & Treatment (2004)/127Treatment of advanced proliferative diabetic retinopathy (PDR) with extensive vitreoretinal fibrosis, tractional retinal detachment or dens recurrent vitreous hemorrhage requires a surgical procedure called vitrectomy or parsplana vitrectomyAdvanced PDR with dense vitreous hemorrhageAdvanced PDR with extensive fibrovascular epiretinal membraneAdvanced PDR with tractional retinal detachment and /or tearVitrectomy with removal of opaque vitreous gel and endophotocoagulationVitrectomy with removal of fibrovascular epiretinal membrane and endophotocoagulation (dissection of membrane)Vitrectomy and reattachment of detached or torn retina by endophotocoagulation or other methods.